All are true about communicability of Malaria, except-
1. The number of gametocytes in blood increases with time
2. Gametocytes appear in blood 4-5 days after the appearance of the asexual parasite, in vivax infection.
3. Gametocytes appear in blood 10-12 days after the appearance of asexual parasite, in falciparum infection
4. In the early stage of infection, their density may exceed 1000 per cmm of blood.

Correct answer: 1. The number of gametocytes in blood increases with time

Explanation: Ans. is 'a' i.e. The number of gametocytes in blood increases with time o A malarial parasite (Plasmodium) has got 2 hosts Man is the intermediate host Mosquito is the definitive host o Plasmodium undergoes 2 cycles of development - The asexual or human cycle The sexual or mosquito cycle o The mosquito cycle begins when a mosquito feeds on an infected mass and ingests gametocytes o Malaria is communicable as long as mature, viable gametocytes exist in the human circulating blood in sufficient density to infect vector mosquitoes. o In P. vivax infections, gametocytes appear in blood 4-5 days after the appearance of the asexual parasites. o In P. falciparum infections gametocytes appear 10-12 days after the first appearance of asexual parasites. o Gametocytes are the most numerous during the early stage of infection when their density may exceed 1000 per cubic mm of blood. o They also tend to occur in waves in blood.